HIV associated nephropathy is a type of:
1. Membranous glomerulonephritis
2. Immunotaetoid glomerulopathy
3. Collapsing glomerulopathy
4. Fibrillary glomerulopathy

Correct answer: 3. Collapsing glomerulopathy

Explanation: Answer is C (Collapsing glomerulopathy): The most charachteristic glomerulonephritis in HIV is focal segmental Glomerulosclerosis (FSGS). The FSGS characteristically reveals collapse of glomerular capillary tuft and is called collapsing glomerulopathy.